Which of the following is most resistant to sterilization?
1. Cysts
2. Prions
3. Spores
4. Viruses

Correct answer: 2. Prions

Explanation: Prions are infectious proteins without any detectable nuclic acid they are highly resistant to physical and chemical agents. Heat : they are extremly resistant to dry heat. they are most resistant to moist heat than bacteria spores fungi and viruses Chemicals: prions are inactivated by sodium hypochlorite . they are also sensitive to household bleach, phenol and iodine disinfectants . chemicals such as aldehyde, hydrogen peroxide, ethylene oxide , ethanol and ionising radiations are found to be ineffective Ref:textbook of Microbiology Dr.C.P.Baveja 4th Edition pg no: 39